Sine wave pattern on ECG is done when serum potassium exceeds ________ mEq/dl?
1. > 6 mEq/dl
2. > 7 mEq/dl
3. > 8 mEq/dl
4. > 10 mEq/dl

Correct answer: 3. > 8 mEq/dl

Explanation: Ans. is 'c' i.e.. > 8 mEq/dl Electrocardiographic manifestations in hyperkalemia progress fromTall peaked T waves5.5-6.5 mEq/dlLoss of P waves6.5 - 7.5 mEq/dlWidened q RS complex7-8 mEq/dlSine wave pattern> 8 mEq/dl